Wide QRS complex is typically seen in -
1. Bundle Branch block
2. Sick sinus syndrome
3. Mobitz type 1 block
4. Mobithz type II block

Correct answer: 1. Bundle Branch block

Explanation: Ans. is 'a' i.e., Bundle Branch block o Intrinsic intraventricular conduction delays such as left bundle block and right bundle branch block are associated with wide QRS complex.